All are seen in asthma except –
1. Cyanosis
2. Wheezing
3. Clubbing
4. Dysnea

Correct answer: 3. Clubbing

Explanation: "Clubbing of fingers is unusual in uncomplicated cases". - O. P. Ghai.